Erysipelas is caused by ?
1. Staph aureus
2. Staph albus
3. Strep pyogenes
4. Hemophilus

Correct answer: 3. Strep pyogenes

Explanation: Ans. is 'c' i.e., Strep pyogenes Erysipelas - is due to S. pyogenes and - is characterized by an abrupt onset of fiery-red swelling of the face or extremities. the distinctive features of erysipelas are well-defined indurated margins, particularly along the nasolabial fold; rapid progression; and intense pain. extension to deeper soft tissues is rare. treatment with penicillin is effective